MOST common form of acute kidney injury is:
1. Prerenal azotemia
2. Acute tubular necrosis
3. Acute interstitial necrosis
4. Acute glomerulonephritis

Correct answer: 1. Prerenal azotemia

Explanation: Prerenal azotemia is the most common form of AKI. The most common clinical conditions associated with prerenal azotemia are Hypovolemia, Decreased cardiac output, Medications that interfere with renal autoregulatory responses such as NSAIDs and inhibitors of angiotensin II Ref: Harrison-E-18, P-2293.